Angle closure glaucoma may be associated with:
1. Myopia
2. Pseudomyopia
3. Hypermetropia
4. Pseudohypermteropia

Correct answer: 3. Hypermetropia

Explanation: Ans. C i.e. Hypermetropia